A lady has ovarian mass, x-ray pelvis shows a radio-opaque shadow. The probable diagnosis is:
1. Mucinous cyst adenoma
2. Serous cyst adenoma
3. Dysgerminoma
4. Dermoid cyst

Correct answer: 4. Dermoid cyst